Regarding synthesis of triacylglycerol in adipose tissue, all of the following are true, EXCEPT:
1. Synthesis from Dihydroxyacetone phosphate
2. Enzyme Glycerol kinase plays an important role
3. Enzyme Glycerol 3 phosphate dehydrogenase plays an important role
4. Phosphatidate is hydrolyzed

Correct answer: 2. Enzyme Glycerol kinase plays an important role

Explanation: Glycerol 3 phosphate may be derived from glycerol by action of Glycerol kinase or from glycolytic intermediate DHAP (Dihydroacetone phosphate) by the action of glycerol 3 phosphate dehydrogenase. The enzyme glycerol kinase is not expressed in adipose tissue and hence glycerol cannot be utilized for provision of glycerol 3 phosphate. Ref: Harper's Illustrated Biochemistry 27th/210, 211, 226; Introduction to Nutrition and Metabolism By David A. Bender, 1997, Page 145.